The gold standard for diagnosis of gastroesophageal reflux disease (GERD) is:
1. Barium swallow
2. Endoscopy
3. 24-hours pH monitoring
4. Esophageal manometry

Correct answer: 3. 24-hours pH monitoring

Explanation: Barium swallow- IOC for diagnosis of Hiatus hernia and Zenker's diverticula Endoscopy + Biopsy- IOC for diagnosis of Barret's esophagus 24 hours PH monitoring- Gold standard Investigation for GERD Esophageal manometry- IOC for diagnosis of motility disorders of esophagus like Achalasia cardia, Diffuse esophageal spasm and Nut cracker's esophagus.